One unit of fresh blood arises the Hb% concentration by -
1. 0.1 gm%
2. 1 gm%
3. 2 gm%
4. 2.2 gm%

Correct answer: 2. 1 gm%

Explanation: Whole blood of one unit will raise the Hemoglobin by 1 gm % in an average size adult.